In partogram, first time of the initial markings are made in:
1. Left side of the action line
2. On the action line
3. On the alert line
4. Right side of the alert line

Correct answer: 3. On the alert line

Explanation: Partograph In partogram, first time of the initial markings are marked on the alert line. The subsequent plotting is done from this point. Till the graph stays on the left if the alert line, the progress can be considered satisfactory. If the graph moves towards the right of the alert line, caution is required and when the graph crosses to the right of action line, it warrants intervention. NOTE: There are new recommendations regarding the dilatation at which start of active labour should be plotted on the partograph, which is now said to be 6 cm. However due to lack of consensus, it is still in consideration and till any confirmed guideline on this is available to us we shall go by the old norm of 4 cm. till